Reservoir of hookworm
1. Human being
2. Soil
3. Faces
4. Monkeys

Correct answer: 1. Human being

Explanation: .man is the only important reservoir of human hookworm infection.faeces containing the ova of hookworms is the infective material.as long a sthe person harbours the parasite ,the infectivity of the disease continues. ref:park's textbook,ed 22,pg no 221